drug with teratogenic potential is
1. carbamezepine
2. clonazepam
3. risperidone
4. olanzapine

Correct answer: 1. carbamezepine

Explanation: - SIDE EFFECTS OF THE DRUG - APLASTIC ANEMIA - AGRANULOCYTOSIS - Hyponatremia - Steven Johnson's syndrome - Liver enzyme elevation - It has teratogenic potential ref. kaplon and sadock, synopsis of psychiatry, 11 th edition,pg no.935